Neuropathy caused by INH increases in all except?
1. Uremia
2. Hyperthyroidism
3. Diabetes mellitus
4. Poor nutrition

Correct answer: 2. Hyperthyroidism

Explanation: Ans. is'b'i.e., Hypehyroidismisoniazid induced peripheral neuropathy:Peripheral neuropathy is observed in 10 to 20% of patients given doses greater than 5 mg/kg/d, but it is infrequently seen with the standard 300-mg adult dose.Peripheral neuropathy is more likely to occur in slow acetylators and patients with predisposing conditions such as malnutrition, alcoholism, iliabetes, AIDS, and uremia.